Nephrogenic diabetes insipidus is caused by all of the following except:
1. Toxicity of lithium
2. Amyloidosis
3. Hypocalcemia
4. Hypokalemia

Correct answer: 3. Hypocalcemia

Explanation: Ans. C: Hypocalcemia Nephrogenic diabetes insipidus is characterized by a decrease in the ability to concentrate urine due to a resistance to ADH action in the kidney. The 24 hour urine volume is more than 50 mL/kg body weight and the osmolarity is less than 300 mosmol/ L. Nephrogenic diabetes insipidus can be observed in: Drugs: - Lithium toxicity - Demeclocycline - Methoxyflurane - Amphotericin B Metabolic Hypercalcemia, - Hypokalemia, iii. Infiltration: - Amyloidosis Tubulointerstitial diseas Rarely, diabetes insipidus may be hereditary